Frequent changes of reading glasses in a 60yr old male patient is a feature of
1. Primary open angle glaucoma
2. Senile nuclear cataract
3. Acute angle closure glaucoma
4. Presbyopia

Correct answer: 1. Primary open angle glaucoma

Explanation: Frequent changes of reading glasses is a feature of Primary open angle glaucoma.